Thick mucous coat is -
1. Protective in ulcer patients
2. Not protective in ulcer patients
3. Easily destroyed by antacids
4. Commonly associated with carcinomatous change

Correct answer: 1. Protective in ulcer patients

Explanation: Ans. is 'a' i.e., Protective in ulcer patientsSurface mucus layer acts as a defensive force and protects against peptic ulceration.Defensive forces include : Damaging forces include :I. Surface mucus 1. Gastric acidity Bicarbonate secretion into mucusMucosal blood flowApical surface membrane transpoEpithelial regereration capacityElaboration of prostaglandinsPeptic enzymesH. Pylori infectionNSAIDS, Aspirin, Cigarette, alcoholDuodenogastric refluxIshaemiaShockDelayed gastric emptying